Tom-smith arthritis results from
1. Rheumatoid arthritis
2. Osteo arthritis
3. Septic arthritis
4. Garre's osteomyelitis

Correct answer: 3. Septic arthritis

Explanation: (Septic arthritis) (39- Apley'8th)* Septic Arthritis in Infancy (TOM-SMITH-ARTHRITS)* The head of the femur is cartilaginous and is rapidly and completely destroyed by pyogenic process* Affected leg is shorter and hip movements are increased in all directions* Telescopy test is positive* X-ray complete absence of the head and neck of the femur